Local anesthetic acts by:
1. Blocking sodium gated channel
2. Blocking calcium gated channel
3. Blocking potassium gated channel
4. Blocking chloride gated channel

Correct answer: 1. Blocking sodium gated channel

Explanation: NORMAL LOCAL ANESTHETIC Sodium passess through voltage gated sodium channel and cause change in membrane potential and cause depolarization. Local anesthetic attatches to sodium channel and prevents propogation & depolarization. LA also has mild action on potassium calcium and NMDA channels